A tracheostomised patient, with Portex tracheostomy tube, in the ward, developed sudden complete blockage of the tube. Which of the following is the best next step in management?
1. Immediate removal of the tracheostomy tube
2. Suction of tube with sodium bicarbonate
3. Suction of tube with saline
4. jet ventilation

Correct answer: 1. Immediate removal of the tracheostomy tube

Explanation: Sudden complete obstruction of the tracheotomy tube is an emergency situation. Efficacy of other alternatives is in question and will take time aggravating the situation. Immediate removal of the tube is a safe alternative. Portex tracheostomy does not have an inner tube. However, if it were a tracheostomy tube with an inner cannula (e.g. Jackson's or Fuller's metallic tubes) removal of only the inner cannula and not the entire tube would be a better alternative.